Enterohemorrhagic, enterotoxigenic and enteroin enteroinvasive are types of:
1. E. coli
2. Klebsiella
3. Shigella
4. Streptococcus pneumoniae

Correct answer: 1. E. coli

Explanation: Ans. a. E. coli